Freud's theory of dream includes all except:
1. Displacement
2. Condensation
3. SYmbolisation
4. Correlation

Correct answer: 4. Correlation

Explanation: Sigmund Freud theory of dream: * Dream work involves the process of condensation, displacement, and secondary elaboration. * Concept of unconscious mind: * Primary assumption of Freudian theory is that the unconscious mind governs behavior to a greater degree than people suspect. * Goal of psychoanalysis is to make the unconscious, conscious. * Theory of dream: * Freud theory of dream elaborates the state of unconscious mind with respect to dream interpretation, * Process involved include condensation, displacement, and secondary elaboration. * Displacement takes place when we transform the person or object we are really concerned about to someone else REF : HARISSIONS 21ST ED